Which of the following is a component of Chitin polysaccharide -:
1. Ascorbic acid
2. Glucosamine
3. Synovium
4. Glucuronic acid

Correct answer: 2. Glucosamine

Explanation: Option b: Glucosamine is the component of chitin Chitin Homopolysaccharide made up of N-Acetyl Glucosamine in b(1-->4) linkage Present in the cell wall of fungi & exoskeleton of arthropods (insects). Second most abundant polysaccharide in nature (Cellulose is the first most abundant)